A 40 year old male patient came for routine checkup. Patient is a smoker and has a sedentary lifestyle .General examination reveals truncal obesity. Physician warns the patient against the coronary heart disease chances. The physician is evaluating the risk factors which maybe all except:
1. High blood pressure
2. Gender
3. Obesity
4. Hard water drinking

Correct answer: 4. Hard water drinking

Explanation: Additional factors considered to play a part in coronary heart disease include high blood pressure, smoking, male gender, obesity (particularly abdominal obesity), lack of exercise, and drinking soft as opposed to hard water. Factors associated with elevation of plasma FFA followed by increased output of triacylglycerol and cholesterol into the circulation in VLDL include emotional  stress  and coffee drinking. Premenopausal women appear to be protected against many of these deleterious factors, and this is thought to be related to the beneficial effects of estrogen. There is an association between moderate alcohol consumption and a lower incidence of coronary heart disease. This may be due to elevation of HDL concentrations resulting from increased synthesis of apo A-I and changes in activity of cholesteryl ester transfer protein. It has been claimed that red wine is particularly beneficial, perhaps because of its content of antioxidants. Regular exercise lowers plasma LDL but raises HDL. Triacylglycerol concentrations are also reduced, due most likely to increased insulin sensitivity, which enhances the expression of lipoprotein lipase.
Reference: HARPERS ILLUSTRATED BIOCHEMISTRY30th ed Page no 274